A 30-year-old man with schizophrenia has been very withdrawn and apathetic for more than 10 years. He now is taking an antipsychotic agent that is helping him to be more outgoing and sociable. However, the patient is experiencing seizures, and agranulocytosis. The antipsychotic agent that this patient is most likely to be taking is
1. risperidone
2. thioridizine
3. olanzapine
4. clozapine

Correct answer: 4. clozapine

Explanation: The antipsychotic agent that this patient is most likely to be taking is clozapine. Like other atypical agents, clozapine is more effective against negative symptoms (e.g., withdrawal) than traditional agents such as haloperidol. However, clozapine is also is more likely to cause seizures and agranulocytosis than traditional agents or other atypicals, such as risperidone and olanzapine.